In firearm entry wound, arrangement of abrasion collar, di collar and tattooing from inside to outside:
1. Di collar, abrasion collar, tattooing
2. Abrasion collar, di collar, tattooing
3. Tattooing, di collar, abrasion collar
4. Di collar, tattooing, abrasion collar

Correct answer: 1. Di collar, abrasion collar, tattooing

Explanation: Ans. Di collar, abrasion collar, tattooing